Daily depressed mood for minimum____ weeks is must to classify someone as suffering from major depression disease
1. 1
2. 2
3. 3
4. 4

Correct answer: 2. 2

Explanation: Ans. b (2 weeks.) (Ref. Harrison's 17th/Table 386-9; Kaplan & Sadock's Synopsis Psychiatry, 10th/p. 534. Table 15.1-5)ConditionDuration for DiagnosisMania1 weekDepression2 weeksSchizophrenia6 monthsSchezophreniform disorder< 6 monthsRapid cyclers> 4 episodes per yearDysthmiaMinor depression > 2 yearsCyclothymiaManiac depressive psychosis > 2 yearsPanic disorder> 1 monthGenaralised anxiety disorderMost of the day.s.a.t least 6 monthsPost-traumatic stress disorder> 1 monthAcute psychosis< 1 monthAcute delusional psychosis< 3 monthsSoamatophorm disorderAt least 4 - pain1 - sexualAt least for 2 years2 - GIT1 - Pseudoneurotic SymptomsAction of Buspirone startsafter 2 weeksCRITERIA FOR MAJOR DEPRESSIVE EPISODEA. ive (or more) of the following symptoms have been present during the same 2-week period and represent a change from previous functioning; at least one of the symptoms is either (1) depressed mood or (2) loss of interest or pleasure.Note: Do not include symptoms that are clearly due to a general medical condition, or mood-incongruent delusions or hallucinations.1. Depressed mood most of the day, nearly every day, as indicated by either subjective report (e.g., feels sad or empty) or observation made by others (e.g., appears tearful)2. Markedly diminished interest or pleasure in all, or almost all, activities most of the day, nearly every day (as indicated by either subjective account or observation made by others)3. Significant weight loss when not dieting or weight gain (e.g., a change of >5% of body weight in a month), or decrease or increase in appetite nearly every day4. Insomnia or hypersomnia nearly every day5. Psychomotor agitation or retardation nearly every day (observable by others, not merely subjective feelings of restlessness or being slowed down)6. Fatigue or loss of energy nearly every day7. Feelings of worthlessness or excessive or inappropriate guilt (which may be delusional) nearly every day (not merely self-reproach or guilt about being sick)8. Diminished ability to think or concentrate, or indecisiveness, nearly every day (either by subjective account or as observed by others)9. Recurrent thoughts of death (not just fear of dying), recurrent suicidal ideation without a specific plan, or a suicide attempt or a specific plan for committing suicideB. The symptoms do not meet criteria for a mixed episodeC. The symptoms cause clinically significant distress or impairment in social, occupational, or other important areas of functioningD. The symptoms are not due to the direct physiologic effects of a substance (e.g., a drug of abuse, a medication) or a general medical condition (e.g., hypothyroidism)E. The symptoms are not better accounted for by bereavement; i.e., after the loss of a loved one, the symptoms persist for >2 months or are characterized by marked functional impairment, morbid preoccupation with worthlessness, suicidal ideation, psychotic symptoms, or psychomotor retardation